Iron depostion line at edge of pterygium on corneal epithelium is known as?
1. Stocker's line
2. KF Ring
3. Fleischer ring
4. Ferrys line

Correct answer: 1. Stocker's line

Explanation: Along the advancing edge of the pterygium is a yellow-brownidh line (Stocker's line) caused by hemosiderin (iron containing) in the epithelial layers. Reference : Parson 22nd edition page :184,185